Anterolateral avulsion fracture of the distal tibial physis is known as
1. Potts fracture
2. Tillaux fracture
3. Chopart fracture
4. Jones fracture

Correct answer: 2. Tillaux fracture

Explanation: Tillaux fracturesFracture occurring in older adolescentsMechanism of injury is an external rotation force with stress placed on the anterior tibiofibular ligament, causing avulsing of the distal tibial physis anterolaterallyIt occurs after the medial part of the physis has closed but before the lateral part closesIt is either Salter-Harris type III or IV fracture(Refer: Mohindra's Fundamentals of Orthopedics, 2nd edition, pg no. 496)